Narrow, high arches palate, prolonged retention of decidous teeth and failure in the eruption of permanent teeth are characteristic of:
1. Cherubim.
2. Cleidocranial dysplasia.
3. Paget's disease.
4. Marfan syndrome.

Correct answer: 2. Cleidocranial dysplasia.